Tolerance and physical dependence may occur after chronic use of all of the following agents Except
1. Meperidine
2. Phenobarbital
3. Diazepam
4. Clomipramine

Correct answer: 4. Clomipramine

Explanation: Tolerance and physical dependence can occur after chronic administration of most central nervous system depressants, including ethanol, barbiturates, benzodiazepines (diazepam), and opiates (meperidine). Tolerance and physical dependence are not associated with most antiepileptics, antidepressants, neuroleptics, and lithium. Ref: KD Tripathi 8th ed.